Quincke's disease is popularly known as:
1. Norwegian scabies
2. Angioneurotic oedema
3. Seborrhoea oleosa
4. Piebaldism

Correct answer: 2. Angioneurotic oedema

Explanation: Angio-oedema/ angioneurotic edema/ Quincke's oedema C1 esterase inhibitor def. Non pitting edema. swellings affect the deeper dermal, subcutaneous and submucosal tissues. painful , not itchy color - pale or normal